Which of the following cellular body is NOT found in nucleus?
1. P-bodies
2. Nucleolus
3. Cajal bodies
4. Interchromatin granule clusters

Correct answer: 1. P-bodies

Explanation: Even if you don't know about all the options and you just know about P body you can answer this question. The P body is a cytoplasmic organelle involved in mRNA metabolism. Here is where miRNA-mRNA complexes are temporarily stored. They can either undergo degradation or mRNA can be released back for translation. Nucleolus is the part of nucleus and is the site of rRNA formation. Cajal bodies are regions within the nucleus that are enriched in proteins and RNAs involved in mRNA processing. They are the main sites for the assembly of small nuclear ribonucleoproteins (snRNPs). Nuclear speckles, also known as interchromatin granule clusters, are nuclear domains enriched in pre-mRNA splicing factors.